Which of the following does not have a corresponding releasing hormone from the hypothalamus?
1. FSH
2. TSH
3. ACTH
4. Prolactin

Correct answer: 4. Prolactin

Explanation: Prolactin secretion is under negative feedback control of hypothalamus through the release of dopamine, which normally exerts a tonic inhibition. There is no known specific hypothalamic prolactin releasing hormone.
Hormones of the Anterior Pituitary :